Insulin dependent entry of glucose is seen in-
1. a) Liver
2. b) Brain
3. c) Heart
4. d) Kidney

Correct answer: 3. c) Heart

Explanation: - GLUT-4 occurs in Heart, skeletal muscle, adipose tissue.